Recently according to ACOG and society for maternal-fetal medicine, Active labor is redefined to start at
1. 3cm
2. 4cm
3. 5cm
4. 6cm

Correct answer: 4. 6cm

Explanation: More recently, a consensus committee of ACOG has redefined active labor to begin at 6cm.(Ref: William's Obstetrics; 25th edition)